Which of the following is the anatomical location of foramen of winslow?
1. Between greater and lesser sac
2. At hilum of liver
3. Transverse cervical ligament of uterus
4. Pouch of Douglas

Correct answer: 1. Between greater and lesser sac

Explanation: The lesser omentum forms a sac known as the omental bursa, which forms a subdivision of the peritoneal cavity known as the lesser sac. The greater sac is the remaining part of the peritoneal cavity. The greater and lesser sacs communicate with each other through the epiploic foramen (of Winslow).Also know: The omentum refers to modified mesenteries associated with the stomach and liver.Greater omentum. An apron-like fold of mesentery that attaches between the transverse colon to the greater curvature of the stomach. Lesser omentum. Mesentery that attaches between the liver, stomach, and proximal portion of the duodenum. As a result, the lesser omentum is also referred to as the hepatogastric ligament and hepatoduodenal ligament.Ref: Morton D.A., Foreman K.B., Albertine K.H. (2011). Chapter 8. Serous Membranes of the Abdominal Cavity. In D.A. Morton, K.B. Foreman, K.H. Albertine (Eds), The Big Picture: Gross Anatomy.